Aspermia is the term used to describe:
1. Absence of semen.
2. Absence of sperm in ejaculate.
3. Absence of sperm motility.
4. Occurrence of abnormal sperm.

Correct answer: 1. Absence of semen.

Explanation: Aspermia No semen ejaculated Hematospermia Blood present in semen Leucocytospermia White blood cells present in semen Azoospermia No spermatozoa found in semen Normozoospermia Normal semen parameters Oligozoospermia Low sperm concentration Asthenozoospermia Poor motility and/or forward progression Teratozoospermia- Reduced percentage of morphologically normal sperm Necrozoospermia No live sperm in semen Globozoospermia Round headed acrosome-less sperm